the blood examination of a patient with head injury reveals Ph=7.2, pco3=65mmhg,hco3= 30 meq/l?
1. respiratory acidosis
2. respiratory alkalosis
3. metabolic acidosis
4. metabolic alkalosis

Correct answer: 1. respiratory acidosis

Explanation: respiratory acidosis ref : harrisons 21st ed